The conclusion post mortem finding of death by drowning -
1. Cutis anserine
2. Presence of water in the middle ear
3. Edematous lungs
4. Demonstration of diatoms in the organs of the body

Correct answer: 4. Demonstration of diatoms in the organs of the body